"Target lesions" are characteristics of:
1. Dermatitis herpetiformis
2. Sulpha drug reaction
3. Lichen planus
4. Erythema multiforme

Correct answer: 4. Erythema multiforme

Explanation: Ans. is 'd' Erythema Multiforme Target lesions (Bull's eye) are characteristic of erythema multiforme.Target lesions are seen on hands and feet consist of red ring with central pale or purple areas.About Erythema multiformePrecipitating factors for erythema multiform areHerpes Simplex (Most common) *Ulcerative colitis* & Crohn's diseaseUltraviolet light*Sulfonamide*Extreme form of this disease is known as Steven Johnson's syndrome